Reactionary hemorrhage occur within:
1. 24 hours
2. 1-2 days
3. 2-4 days
4. 4-6 days

Correct answer: 1. 24 hours

Explanation: Hemorrhage according to the Time of appearance can be classified as belows Primary hemorrhage Is one which occur at the time of injury or operation. Reactionary hemorrhage In majority of cases reactionary occur within 4 to 6 hours. Such bleeding may also occur due to: Restlessness Coughing Vomiting with raises the venous pressure Secondary hemorrhage This occurs usually after 7 to 14 days of injury or operation. This is usually due to infection and sloughing of a part of the arterial wall.